A part from diarrhea, oral rehydration solution has been employed in:
1. Severe vomiting
2. Burn cases
3. Heat stroke
4. Both (b) and (c)

Correct answer: 4. Both (b) and (c)

Explanation: (Ref: KDT 6/e p659) Non-diarrheal uses of ORS include: Maintenance of hydration in postsurgical, postburn and post-trauman patients Heat stroke During changeover from total parenteral nutrition to enteral nutrition.